A patient at 22 weeks gestation is diagnosed as having IUD which occurred at 17 weeks but did not have a miscarriage. This patient is at increased risk for:
1. Septic abortion
2. Recurrent abortion
3. Consumptive coagulopathy with hypofibrinogenemia
4. Future infertility

Correct answer: 3. Consumptive coagulopathy with hypofibrinogenemia

Explanation: Ans. is c, i.e Consumptive coagulopathy with hypofibrinogenemiaRef. Dutta Obs. 9/e, p 304, p 304Dead fetus, if retained for more than 4 to 5 weeks, release thromboplastin which leads to DIC (consumptive coagulopathy).In the question, the fetus has been dead and has been retained for five weeks so there are increased chances of DIC.Obstetrical conditions leading to DICa. Septic abortionb. IUDc. Abruptio placentaed. Amniotic fluid embolisme. Severe preeclampsia, eclampsia. HELLP syndrome.